Most common ovarian tumour in pregnancy is:
1. Mucinous cyst adenoma
2. Dermoid cyst
3. Metastasis
4. Dysgerminoma

Correct answer: 2. Dermoid cyst